After endodontic therapy has been perfomed on a
mandibular molar with both periodontal bifurcation involvement and bifurcation caries:
1. Hemisection
2. Fenestration
3. Root amputation
4. Apical curettage

Correct answer: 1. Hemisection